Graft rejection is -
1. Cell mediated
2. Humoral
3. Both
4. None

Correct answer: 3. Both

Explanation: harshmohan textbook of pathology 7th edition. *rejection of allograft involves both cell mediated and humoral immunity .cell mediated reaction is mainly responsible for graft rejection and are mediated by T cells.in addition to cell mediated reaction a role for humoral antibodies in certain rejection reaction has been suggested. These included pre formed circulating antibodies due to pre sensitization of the recipient before transplantation.